Death of unborn child by an act of parents comes under IPC?
1. 302
2. 316
3. 300
4. 314

Correct answer: 2. 316

Explanation: Ans. is 'b' i.e., 316o Death of quick unborn child by act amounting to culpable homicide (10 years imprisonment + fine) -316IPCo Murder (defining murder)- 300 IPCo Punishment for murder (death or life imprisonment) - 302 IPCo Death of patient caused by miscarriage (10 years of imprisonment +- fine) - 314 IPC